Bandl's ring is developed in a primigravida who is in labour. It is associated with the following condition:
1. Undilated cervix
2. Premature rupture of membranes
3. Obstructed labour
4. Injudicious use of oxytocic

Correct answer: 3. Obstructed labour

Explanation: Localized rings or constrictions of the uterus develop in association with prolonged obstructed labours. The pathological retraction ring of Bandl is associated with marked stretching and thinning of the lower uterine segment. The ring may be seen clearly as a uterine indentation and signifies impending rupture of the lower uterine segment. Ref: Cunningham F.G., Leveno K.J., Bloom S.L., Hauth J.C., Rouse D.J., Spong C.Y. (2010). Chapter 20. Abnormal Labor. In F.G. Cunningham, K.J. Leveno, S.L. Bloom, J.C. Hauth, D.J. Rouse, C.Y. Spong (Eds), Williams Obstetrics, 23e.